Giant V wave on examination of the jugular venous pulse is suggestive of :
1. Atrial flutter with changing block
2. Tricuspid incompetence
3. Ventricular septal defect
4. Pulmonary stenosis

Correct answer: 2. Tricuspid incompetence

Explanation: Giant v waves indicate the presence of tricuspid regurgitation. The jugular venous pressure should be quantified in centimeters of water (normal <=8 cm) by estimating the height of the venous column of blood above the sternal angle in centimeters and then adding 5 cm. In the early stages of HF, the venous pressure may be normal at rest but may become abnormally elevated with sustained (~1 min) pressure on the abdomen (positive abdominojugular reflux). ref : ( Harrison's principle of internal medicine,20th edition,pg no.1905 )